Inclusion body in neuron is seen in:
1. Rabies
2. Diphtheria
3. Yellow fever
4. Japanese encephalitis

Correct answer: 1. Rabies

Explanation: Rabies